Perichondrial ring is:
1. Seen around foramen magnum
2. Seen around epiphyseal plate
3. More prominent in adults
4. Shear strength increases with age

Correct answer: 2. Seen around epiphyseal plate

Explanation: The perichondrial ring- surrounds the growth plate circumferentially. Peri-chondrial ring extends towards metaphysis and become continuous with periosteum of metaphysis. With increasing age, perichondrial ring is thinned and its shear resistance (strength) is decreased.